The best method for estimation of hemoglobin concentration in blood:
1. Acid hematin method
2. Alkali hematin method
3. Cyanmethemoglobin method
4. Any of the above

Correct answer: 3. Cyanmethemoglobin method